A patient needs antibiotic treatment for Artificial valve, culture positive infective entercoccal endocarditis. His medical history include several anaphylactic reaction to penicillin G during the past year. The best approach would be treatment with
1. Amoxicillin clavulanic acid
2. Aztreonam
3. Cefazolin plus gentamicin
4. Vancomycin

Correct answer: 4. Vancomycin

Explanation: Ref-KDT 6/e 732 * Severe allergy to penicillins rule out the use of amoxicillin and cefazolin. * Vancomycin is highly effective against MRSA and enterococcal intections. * Drugs for VRSA and VRE (Vancomvcin Resistant enterococcus faecalis) include linezolid and daptomycin.